True about active immunity -
1. Less effective
2. Can be given in immunodeficient state
3. Immunological memory present
4. No lag period

Correct answer: 3. Immunological memory present